Collet-Sicard syndrome is due to the lesion of which of the following cranial nerves?
1. 3, 4 and 6
2. 5 and 6
3. 9, 10, and 11
4. 9, 10, 11 and 12

Correct answer: 4. 9, 10, 11 and 12

Explanation: Site of lesionCranial nerves involvedEponymsSuperior orbital fissureIII, IV, V1, VIRochon-Duvigneaud syndromeLateral wall of cavernous sinusIII, IV, V1, VI with marked periorbital swelling, chemosis, fever, and visual lossFoix-Jefferson syndromeRetrosphenoid spaceII, III, IV, V1, VINegri-Jacod syndromeApex of petrous boneV, VI, and Otitis mediaGradenigo syndromeInternal auditory meatusVII, VIIIPontocerebellar angleV, VII, VIII and sometimes IXJugular foramenIX, X, XIVernet syndromePosterio-lateral condylar spaceIX, X, XI, XIICollet-Sicard syndromeRetroparotid spaceIX, X, XI, XII, Horner's syndrome +- VIIVillaret syndromeX, XIITapia's syndrome